Which of the following childhood disorder improves with increase in age _________
1. Conduct disorder
2. Emotional problems
3. Temper tantrum
4. Sleep disorder

Correct answer: 3. Temper tantrum

Explanation: Temper tantrums are unpleasant and disruptive behaviors or emotional outbursts. They often occur in response to unmet needs or desires.Tantrums are more likely to occur in younger children or others who cannot express their needs or control their emotions when they are frustrated.This abnormal behavior continues as we fulfil their desire . Reference: GHAI Essential pediatrics, 8th edition